Which of the following statement best describes an Orphan drug
1. It is a drug which acts on orphan receptors
2. It is a very cheap drug
3. It is a drug which has no therapeutic use
4. It is a drug declared for treatment of prevention of a rare disease

Correct answer: 4. It is a drug declared for treatment of prevention of a rare disease

Explanation: Ref-KDT 6/e p6 Orphan drugs are used for rare diseases. Eg.erythroprotein for the treatment of anemia in patient with chronic renal failure